Which of the following most accurately describes the transmembrane signalling process involved in the steroid hormone action
1. Action on a membrane spanning tyrosine kinase
2. Action of a G protein which activates or inhibits adenylyl cyclase
3. Diffusion across a membrane and binding to an intracellular receptor
4. Opening of transmembrane Ion channels

Correct answer: 3. Diffusion across a membrane and binding to an intracellular receptor

Explanation: Ref-KDT 6/e p51 Steroid hormones and lipids soluble and act on cytoplasmic receptor after crossing the plasma membrane